Which viral infection is associated with neutropenia :
1. Hepatitis A
2. Influenza A
3. HIV
4. All of the above

Correct answer: 4. All of the above

Explanation: Ans. is 'd' all of the above (Ref Chandrasoma Taylor, 3/e, p. 412; Harrison, 16/e, p 352 (15/e, p. 369)).Viral infections associated with neutropenia :HepatitisMeaslesAIDS (HIV)Infectious mononucleosisInfluenza ("severe (eulippenia can occur in overwhelming infection" - Harrison, 15/e, p1129)